Grimace with APGAR score -
1. 0
2. 1
3. 2
4. 3

Correct answer: 2. 1

Explanation: Ans. is `b i.e., 1